Ciliary staphyloma is a complication of:
1. Scleritis
2. Episcleritis
3. Perforated corneal ulcer
4. Degenerative myopia

Correct answer: 1. Scleritis

Explanation: Ans. A i.e. Scleritis